Which of the following bacterium is non-motile?
1. Klebsiella spp
2. Citrobacter spp
3. Escherichia spp
4. Salmonella spp

Correct answer: 1. Klebsiella spp

Explanation: (Refer: Anantha Narayanan and Paniker’s Textbook of Microbiology, 9th edition, pg no: 19-20)
Motility of Enterobacteriaceae members